Salt loosing nephropathy is seen in -
1. Tubulointerstial disease
2. Interstitial glomerulonephritis
3. Analgesic abuse
4. All the above

Correct answer: 4. All the above

Explanation: Ans. is 'd' i.e., All the above Salt losing nephropathy* It is a clinical state rather than a specific disease.* It is normally associated with chronic kidney disease due to tubulointerstitial disease or due to glomerulonephritis due to significant interstitial abnormalities.* A common example of toxic nephropathy inducing salt loosing nephropathy state is analgesic abuse.* It usually occurs when the GFR is less than 15ml/min.